Not true about lepromine test is -
1. Helps in classification of leprosy
2. Negative in most of the child in 1st 6 month of life
3. It is a diagnostic test
4. BCG vaccination converts lepra reaction from negative to positive

Correct answer: 3. It is a diagnostic test

Explanation: Lepromin test is not a diagnostic test. The 2 drawbacks that stand in the way of this test being used for diagnosis are : Positive results in non cases Negetive results in lepromatous or near lepromatous cases Reference; Park's Textbook of preventive and social medicine, 24th edition.Pg no. 338